A widely used the drug that suppresses cellular immunity,inhibits prostaglandin and leukotriene synthesis and increases the catabolism of IgG antibody is
1. Cyclophosphamide
2. Predisone
3. Cyclosporine
4. Infliximab

Correct answer: 2. Predisone

Explanation: Ref-KDT 6/e p828,838 Glucocorticoids are powerful immunosuppresants. These inhibit both cellular and humoral immunity by: Decreasing the recruitment of immune cells Catabolism of immunoglobulins. Inhibiting the enzyme phospholipase A, resulting in decreased production of PGs,LTs and TXs